Which of the following antibiotics acts by inhibiting cell wall synthesis :
1. Cefepime
2. Aminoglycosides
3. Erythromycin
4. Doxycycline

Correct answer: 1. Cefepime

Explanation: Cefepime is a beta lactam antibiotic, which acts by inhibiting cell wall synthesis.